Which is the first line of treatment for overactive bladder?
1. Antimuscarinic drug
2. Behavioural therapy
3. Cholinergic drug
4. Botulinum toxin type A

Correct answer: 2. Behavioural therapy

Explanation: Behavioural therapy includes bladder training, pelvic floor exercise, fluid management.